fanconi bickel syndrome is due to mutation of ?
1. glut 1
2. glut 2
3. glut 4
4. na+iodine channels

Correct answer: 2. glut 2

Explanation: FANCONI--BICKEL SYNDROME * Hepatic glycogenesis with renal fanconi syndrome. * Rare AR disorder. * 'deficiency of GLUT 2 in .hepatocytes , pancreatic beta cells, intestinal * Proximal renal tubular dysfunction. * Presents in 1st year of life as FTT , rickets , hepatomegaly , renomegaly. ref : guyton and hall